Microscopic examination of a specimen shows dimorphic fungi. All of the following are examples for dimorphic fungi, EXCEPT:
1. Coccidiodomycosis
2. Blastomycosis
3. Candida
4. Histoplasma

Correct answer: 3. Candida

Explanation: Candida and Cryptococcus are traditionally classified as yeasts. They are seen as rounded single cells or as budding organisms. Dimorphic is the term used to describe fungi that grow as yeasts or large spherical structures in tissue but as filamentous forms at room temperature in the environment. Classified in this group are the organisms causing blastomycosis, paracoccidioidomycosis, coccidioidomycosis, histoplasmosis, and sporotrichosis. Ref: Brooks G.F., Carroll K.C., Butel J.S., Morse S.A., Mietzner T.A. (2013). Chapter 45. Medical Mycology. In G.F. Brooks, K.C. Carroll, J.S. Butel, S.A. Morse, T.A. Mietzner (Eds), Jawetz, Melnick, & Adelberg's Medical Microbiology, 26e